ECG finding of Hyperkalemia:
1. T wave inversion
2. ST depression
3. P pulmonale
4. Wide QRS complex

Correct answer: 4. Wide QRS complex

Explanation: Ans.(d) Wide QRS complexRef: Harrison 19th ed. / 310ECG Findings of Hyperkalemia* The first ECG finding in hyperkalemia is tall tented T waves followed by slowing of depolarization of heart.* This results in prolonged PR interval with QRS widening.* Subsequently the P waves start becoming smaller.* Sine wave pattern leading to ventricular fibrillation/ diastolic arrest of heart.